Bidextrous grasp is seen at what age?
1. 3 months
2. 5 months
3. 6 months
4. 9 months

Correct answer: 2. 5 months

Explanation: 3 months - Holds an object when placed in hands 4 months - Tries to reach for an object, but overshoots 5 months - Bidextrous grasp 6 months - Unidextrous/palmar grasp 7 months - Transfers objects from 1 hand to another 9 months - Immature/Assisted pincer grasp 12 months - Mature/ Unassisted pincer grasp